Gilbert's syndrome is characterized by -a) Normal liver function testb) Increased risk of cirrhosisc) Normal liver histologyd) Conjugated hyperbilirubinemia precipitated by fasting
1. a
2. bc
3. ac
4. b

Correct answer: 3. ac

Explanation: Gilbert's Syndrome: -

It is an autosomal dominant condition.
It is characterized by unconjugated hyperbilirubinemia (normally the bilirubin is transported into liver cells by intracellular proteins. In the liver bilirubin is conjugated. This conjugation is brought about by certain enzymes. In Gilbert's syndrome these enzymes are absent which cause unconjugated hyperbilirubinemia).
The hyperbilirubinemia is usually precipitated by following conditions — Stress, Fatigue, Alcohol use, reduced calorie intake, intercurrent illness.
The hepatic biochemical tests are normal except for elevated bilirubin level (serum bilirubin concentration are usually < 3mg/dl)
The hepatic histology is normal
There is no association with cirrhosis.